The most likely cause for suture leak after colon resection and anastomosis for cancer sigmoid is ?
1. Subclinical malnutrition
2. Infection of anastomotic site
3. Mechanical disruption due to colonic pressure and contractility
4. Ischaemia

Correct answer: 4. Ischaemia

Explanation: Ans. is 'd' i.e., Ischaemia